Calorie test with warm and cold water stimulates which of the following structures?
1. Saccule
2. Lateral semicircular canal
3. Superior semicircular canal
4. Posterior semicircular canal

Correct answer: 2. Lateral semicircular canal

Explanation: Ans. (b) Lateral semicircular canalRef: Dhingra's ENT 6th ed./ 43